This boy presented with noisy breathing, stiff immobile joints & intellectual disability. What can be the probable cause?
1. Down syndrome
2. Hurler syndrome
3. Neurofibromatosis
4. Sturge weber syndrome

Correct answer: 2. Hurler syndrome

Explanation: Ans. B. Hurler syndromeThe image above shows features of Gargoylism having coarse facial features. Children suffering from this have intellectual disability and joint stiffness. These features are characteristics of Hurler syndrome.